Proximal bronchiectasis, blood eosinophilia and asthma are characteristic feature of
1. Histoplasmosis
2. Measles
3. Allergic bronchopulmonary aspergillosis
4. Tuberculosis

Correct answer: 3. Allergic bronchopulmonary aspergillosis

Explanation: Ans. c (Allergic bronchopulmonary aspergillosis). (Ref. Harrison, Medicine, 16th ed., 1178, 1488 Table 237-3)Diagnostic features of allergic bronchopulmonary aspergillosis (ABPA)Main diagnostic criteriaOther diagnostic featuresBronchial asthmaPulmonary infiltratesPeripheral eosinophilia (>1000/ mL)Immediate wheal-and-flare response to A. fumigatusSerum precipitins to A. fumigatusElevated serum IgECentral bronchiectasisHistory of brownish plugs in sputumCulture of A. fumigatus from sputumElevated IgE (and IgG) class antibodies specific for A.fumigatus.